Run-Amok is a feature of -
1. Opium
2. Dhatura
3. Cannabis
4. Alcohol

Correct answer: 3. Cannabis

Explanation: Run amok is a feature of cannabis intoxication.